In a patient of trauma with no head injury, the target blood pressure for resuscitation is
1. SBP 50-70 mm of Hg
2. SBP 70-90 mm of Hg
3. SBP 90-110 mm of Hg
4. SBP > 110 mm of Hg

Correct answer: 2. SBP 70-90 mm of Hg

Explanation: The initial aim of resuscitation is to maintain the blood supply to the vital organs: the brain, heart and kidneys. For a short time, this can be achieved with a target systolic blood pressure of 70-90 mmHgThe concept of "permissive hypotension" refers to managing trauma patients by restricting the amount of fluid resuscitation administered while maintaining blood pressure in the lower than normal range if there is still active bleeding during the acute period of injury. Although this treatment approach may avoid the adverse effects of early and high-dose fluid resuscitation, it carries the potential risk of tissue hypoperfusion.Bailey and love 27e 324